Glomerulonephritis in streptococcal infection is diagnosed by -
1. Blood culture
2. Throat culture
3. ASO Titre
4. PCR

Correct answer: 3. ASO Titre

Explanation: Ans. is 'c' i.e., ASO Titre